Doppler ultrasonography in IUGR & Preeclampsia shows notch in which artery :
1. Umbilical artery
2. Uterine artery
3. Internal iliac artery
4. Vitiline artery

Correct answer: 2. Uterine artery

Explanation: Uterine artery